Untoff phenomenon is -
1. Worsening of symptom with cold
2. Relief of symptom with cold
3. Worsening of symptom with heat and exertion
4. Palsy of symptom with heat and excretion

Correct answer: 3. Worsening of symptom with heat and exertion